A flat discolouration on skin as 1 cm is called -
1. Macule
2. Plaque
3. Boil
4. Papule

Correct answer: 1. Macule

Explanation: MACULE: well demarcated ,non palpable discolouration of skin less than /equal to 1 cm. PATCH: well demarcated,non palpable discolouration of skin >1cm. PLAQUE: well circumscribed,solid,plateau like lesion >1 cm with a major portion of lesion above skin surface. PAPULE: well circumscribed,solid,plateau like lesion less than/equal to 1 cm with a major portion of lesion above skin surface. BOIL: furuncle.-Deep necrotising infection of hair follicle with severe inflammation and suppuration. fitzpatrick textbook of dermatology, 9th edition ,page 4